Which one of the following is the complementary sequence of 5' TTAAGCTAC 3' ?
1. 5' GTAGCTTAA 3'
2. 5' AATTCGCATG 3'
3. 5' CATGCGAATT 3'
4. 5' TTAAGCGTAC 3'

Correct answer: 1. 5' GTAGCTTAA 3'